The normal value of anion gap is:
1. 8-16 mEq/l
2. 20-25 meq/l
3. 50 meq/l
4. 75 meq/l

Correct answer: 1. 8-16 mEq/l

Explanation: Ans. A. 8-16meq/lTo achieve electrochemical balance, the number of negatively charged anions should equal the positively charged ions (cations)Na++K++ Unmeasured Cations (UC)=(Cl-+HCO3- + Unmeasured anions (UA)RearrangingNa++K+-(Cl-+HCO3- )=UA-UC= Anion Gap (AG)Because normally the total unmeasured anions exceed the unmeasured cations; there is a anion gap.